Which can cause loose body in the joint -
1. RA
2. Ankylosing spondylitis
3. OA
4. SLE

Correct answer: 3. OA

Explanation: Ans. is 'c' i.e., OA o Causes of loose bodies includei) Osteoarthritisiii) Osteochondral fracture (injury) v) Synovial chondromatosisii) Osteochondritis dessicansiv) Charcot's disease o Among these, osteochondral fracture causes single loose bodies, while all other can cause multiple loose bodies, maximum by synovial chondromatosis (up to hundrades).